Oncocytes are found in all except -
1. Thyroid
2. Panereus
3. Pituitary
4. Pineal

Correct answer: 4. Pineal

Explanation: Ans. is 'd' i.e., Pineal Oncocytes are present in the acini and ducts of normal salivary gland.o They are also present in some benign tumors of salivary glands, thyroid, parathyroid, kidney, lung and pituitary -